Drug used in Narcoanalysis is:
1. Cocaine
2. Pethidine
3. Atropine
4. Scopalamine

Correct answer: 4. Scopalamine

Explanation: Ref: Essentials of Medical Pharmacology by K.D. Tripat hi p. 109, 113.Explanation:Hyoscine (Scopalamine)Atropine substitute and quartemary ammonium compoundLess potent and longer acting than atropineUsed for esophageal and gastrointestinal spastic conditions.- Hyoscine has been used to produce sedation and amnesia during labour (twilight sleep) and to control maniacal states.- It had earned a reputation as a lie detector' during world war SI: its amnesic and depressant action was believed to put the subject 'off guard' in the face of sustained interrogation and sleep deprivation, so that he came out with the truth.